Implant tooth interface in light microscopy will appear as?
1. Osteointegration
2. Osteosynthesis
3. Osteogenesis
4. Osseoinduction

Correct answer: 1. Osteointegration

Explanation: At light miscroscope level magnification direct contact b/w living bone and a functionally loaded implant surface is interpreted as osteointegration